Ureter develops from which of the following embryologic structure?
1. Mesonephric tubules
2. Mesonephric duct
3. Urogenital sinus
4. Paramesonephric duct

Correct answer: 2. Mesonephric duct

Explanation: Ureteric bud arise from the mesonephric ducts. The ureter is derived from the part of ureteric bud that lies between the pelvis of the kidney, and the vesico-urethral canal. The permanent kidneys develop from 2 sources, both of which are of mesodermal origin. 1) The metanephric diverticulum (ureteric bud). 2)The metanephric mesoderm. Ref: Human Embryology INDERBIR SINGH 6th Ed Page 269.